Gustatory hallucinations are most commonly associated with
1. Temporal lobe epilepsy
2. Grand mal epilepsy
3. Anxiety disorders
4. Tobacco dependence

Correct answer: 1. Temporal lobe epilepsy

Explanation: Mesial temporal lobe epilepsy is the epilepsy syndrome most commonly associated with gustatory hallucinations. This syndrome produces seizures with limbic features, of which olfactory and gustatory experiences are classic. The underlying cause may vary, as the syndrome is defined by its localization Ref Harrison20th edition pg 2456